Which of the following endocrinological condition may be associated with hydatiform mole : 46 XX
1. Hypothyroidism
2. Hyperthyroidism
3. Diabetes
4. Hyperprolactinemia

Correct answer: 2. Hyperthyroidism

Explanation: Hyperthyroidism